To distinguish between cochlear and post cochlear damage test done is -
1. Brainstem evoked response
2. Impedance audiometry
3. Pure tone audiometry
4. Auditory cochlear potential

Correct answer: 1. Brainstem evoked response

Explanation: BERA is very useful in distinguishing between cochlear pathology and retrocochlear pathology for SNHL
Impedence audiometry and PTA tests the middle ear pathology.